Morel-Lavallee lesion leave lesion is seen in ?
1. Acetabular fracture
2. Fracture femur neck
3. Fracture lumbar spine
4. Fracture proximal tibia

Correct answer: 1. Acetabular fracture

Explanation: Ans. is 'a' i.e., Acetabular fracture Morel-Lavallee lesion is a localized area of subcutaneous fat necrosis over the lateral aspect of the hip caused by the same trauma that causes the acetabular fracture.